Spontaneous Bacterial Peritonitis is indicated by presence of _______ cells in ascitic fluid
1. > 500 cells / mm3, absolute lymphocyte
2. > 500 cells / mm3, absolute PMN
3. > 250 cells / mm3, absolute lymphocyte
4. > 250 cells / mm3, absolute PMN

Correct answer: 4. > 250 cells / mm3, absolute PMN

Explanation: Absolute PMN > 250 cells / mm3 indicates Spountaneous Bacterial Peritonitis.